Wof sulfonylureas is used in treatment of neurogenic diabetes Insipidus
1. Nateglinide
2. Tolbutamide
3. Chlorpropamide
4. Glipizide

Correct answer: 3. Chlorpropamide

Explanation: Chlorpropamide:- is one of the first SUs which has been discontinued because of long duration of action (> 2 days) and frequent hypoglycaemia. Side effects:- It was also prone to cause dilutional hyponatraemia (by sensitizing kidney to ADH action- used in treating central DI), cholestatic jaundice and alcohol flush(disulfiram like reaction). Ref:- kd tripathi; pg num:-273